Preclampsia patient at 38 weeks of gestation is started on oxytocin to augment her labor and the patient is now requesting for epidural analgesia. Anaesthetic considerations include
1. No work up is required prior to performing epidural anaesthesia, as this will treat her hypertension
2. The presence of hypertension and oedema requires further workup before proceeding.
3. Neuraxial anaesthesia should be avoided, as there is increased risk of bleeding
4. Avoid systemic opiates, as the risk of respiratory depression is too high

Correct answer: 2. The presence of hypertension and oedema requires further workup before proceeding.

Explanation: Always ensure adequate hemostasis prior to epidural anaesthesia. Platelet count less than <50000/microliter is contraindicated to neuroxial interventions due to high risk epidural hematoma.